Chocolate or copper brown post mortem staining is seen in all of the following causes of death, except:
1. Nitrates
2. Aniline dyes
3. Clostridium perfringence
4. Potassium chlorate

Correct answer: 3. Clostridium perfringence

Explanation: Nitrates, Potassium chlorate, Potassium bicarbonate, Aniline, all produce chocolate or copper brown post-mortem staining. Clostridium perfingence causes bronze pigmentation in septic abortion.